An 8 year old boy presented with fever and bilateral cervical lymphadenopathy with prior history of sore throat. There was no hepatomegaly. The peripheral blood smear shows >20% lympho plasmacytoid cells. The most likely diagnosis is:
1. Tuberculosis
2. Infectious Mononucleosis
3. Acute lymphoblastic leukemia
4. Influenza

Correct answer: 2. Infectious Mononucleosis

Explanation: Ans. B. Infectious MononucleosisThe given clinical situation suggests Infectious MononucleosisFeatures of Infectious Mononucleosis:* Cervical Lymphadenopathy* Fever* History of sore throat* >20% atypical lymphocytesHepatomegaly may be absent (Occurs only in 30% of cases)